A laboratory experiment is performed to evaluate the chemotactic potential of a group of potential mediators. Which of the following substances most likely has the greatest affinity for neutrophils?
1. C5a
2. Fucosyl transferase
3. P-selectin
4. TNF-a

Correct answer: 1. C5a

Explanation: Several substances have chemotactic potential for neutrophils. C5a is a prominent example Chemotactic Factors Factor Description Chemotactic For Formylated peptides Bacterial products of Escherichia coli Neutrophils C5a Activated complement component Neutrophils HETE, LTB Leukotrienes Neutrophils Kallikrein Product of factor XIIa - mediated conversion, and other cells Neutrophils PAF AGEPC; from basophils, mast cells, and other cells Eosinophils PDGF From platelets, monocytes - macrophages, smooth muscle cells and endothelial cells Neutrophils and macrophages TGF-b From platelets, neutrophils, macrophages, lymphocytes, and fibroblasts Macrophages and fibroblasts